A 17 year old girl with keratitis and severe pain in the eye came to the hospital and acanthamoeba keratitis was suspected. The patient gave the history of following 4 points. Out of these which is not a risk factor for acanthamoeba keratitis.
1. Extended wear contact lens.
2. Exposure to dirty water.
3. Corneal trauma
4. Squamous blepharitis

Correct answer: 4. Squamous blepharitis

Explanation: D i.e. Squamous blepharitis